Exfoliative dermatitis is seen in all the following except
1. Drug reaction
2. Psoriasis
3. Pityriasis rosea
4. Pityriasis rubra pilaris

Correct answer: 3. Pityriasis rosea